False statement about dermatophytes is
1. Trichophyton - macroconidia are pencil shaped
2. Epidermophyton - macroconidia are club shaped
3. Trichophyton - microconidia are absent
4. Epidermophyton - microconidia are absent

Correct answer: 3. Trichophyton - microconidia are absent

Explanation: In Trichophyton - microconidia are abundant